Commando’s operation is for
1. Radical mastectomy
2. Oral cancer
3. Mandible
4. Leg amputation

Correct answer: 2. Oral cancer